IQ level of 45 is called:
1. Mild intellectual disability
2. Moderate intellectual disability
3. Severe intellectual disability
4. Profound intellectual disability

Correct answer: 2. Moderate intellectual disability

Explanation: Ans. B i.e. Moderate intellectual disability